Which of the following is the MOST common type of staphyloma in myopia?
1. Posterior
2. Intercalary
3. Equatorial
4. Ciliary

Correct answer: 1. Posterior

Explanation: Posterior staphylomas are commonly seen in patients with high myopia. Staphylomas are defined as the ectatic cicatrisation of the outer coat of the eyeball with uveal incarceration. Anterior staphylomas can be caused by smallpox, keratomalacia, sloughing corneal ulcer and trauma. intercalary staphylomas occur due to a penetrating wound at the limbus. Ciliary staphylomas occur due to buphthalmos, long standing absolute glaucoma, scleritis, scleromalacia, rhinosporidiosis, traumatic and idiopathic reasons. equatorial staphylomas are often congenital in origin. Ref: Clinical Examination In Ophthalmology By P. K. Mukherjee page 125.